Follow ing is/ are the causes of chronic cough with noncontributory chest radiograph-
1. Asthma
2. Post nasal drip
3. GERD
4. All the above

Correct answer: 4. All the above

Explanation: Ans. is 'd' i.e., All the above o 90% of patients who have chronic cough and a normal or noncontributory chest radiograph belong to one of the following causes:Use of an angiotensin-converting enzyme inhibitor;Post-nasal drainage;Gastroesophageal reflux; andAsthma.